Hospital wastes should ideally be disposed by
1. Burial
2. Composting
3. Incineration
4. Trench method

Correct answer: 3. Incineration